In malaria definitive host is
1. Male anopheles mosquito
2. Sand fly
3. TSE TSE fly
4. Female anopheles mosquito

Correct answer: 4. Female anopheles mosquito

Explanation: Definitive host: Female Anopheles mosquitoes (not male anopheles) Intermediate host: Man. Infective form to man: Sporozoites presesnt in the salivary gland of mosquito Infective form to man when transmitted by blood transfusion or vertical modetrophozoite Infective form to mosquito- Gametocyte Sand fly-cause leshmaniasis TSE TSE fly-cause sleeping sickness